Duplex ultrasound is a combination of
1. A mode and pulse wave doppler
2. B mode and pulse wave doppler
3. M mode and spectral doppler
4. 3D USG and Elastography

Correct answer: 2. B mode and pulse wave doppler

Explanation: Duplex Scan Combination of B-mode imaging with Pulsed Doppler USG - gives both anatomical & physiological information of vascular system. Colour Duplex Scan Addition of colour frequency mapping - Colour Duplex imaging.